Rivastigmine is used in ?
1. Dementia
2. Dissociation
3. Depression
4. Delusions

Correct answer: 1. Dementia

Explanation: Ans. is 'a' i.e., Dementia Cognition Enhancers (Cerebroactive drugs) These are a heterogenous group of drugs developed for use in dementia and other cerebral disorders. Drugs are Cholinergic activaters - Tacrine, Rivastigmine, Donepezil, Galantamine. Glutamate (NMDA) antagonist - Memanite Miscellaneous - Piracetam, Pyritinal (pyrithioxine), Piribedil, Dihydroergotoxine (Codergocrine). Important points about some important drugs. Tacrine It was the first centrally active anticholinesterase to be used in AD. Hepatotoxicity has restricted its use. Rivastigmine It is carbamate derivative of physostigmine. It inhibits both acetylcholinesterase and butylcholinesterase. It is selective for G1 isoform of AchE which predominates in brain. It is used in AD. Donezepil It is reversible inhibitors of cerebral AchE. It has long PART (70 hours) - Single daily dose can be given. It is used in AD. Galantamine It inhibits cerebral AchE. It has some direct action on nicotinic receptors as well. Acetyl - I - carnitine It has antioxidant property. It also increases cholinergic transmission. It decreases symptoms of All as well as it decreases disease progression. Memantine A NMDA receptor antagonist, used in AD.